All of the following is true about Wilm's tumour except -
1. May present with an abdominal lump
2. It is most common renal neoplasm in children
3. It is always unilateral
4. Responds well to chemotherapy

Correct answer: 3. It is always unilateral

Explanation: Ans. is 'c' i.e., It is always unilateral Wilm's tumouro Wilm's tumor is the most common renal neoplasm & 2nd most common malignant abdominal tumor, in children(Most common abdominal malignant tumor is neuroblastoma)o Peak incidence is between 2 and 5 yrs of age.o 5-10% are bilateral; either both kidneys are involved simultaneously (synchronous) or one after the other (metachronous)Clinical features of W.T.# Abdominal lump (most common presenting feature)# Abdominal pain# Vomiting# Hematuria# HypertensionTreatment# High cure rates of 80-90% can be achieved with multimodality treatment using surgery, chemotherapy & radiotherapy# Surgical resection is done in all stages followed by chemotherapy (stage I &II) or chemotherapy* radiotherapy (stage III, IV, V)# Pre op chemotherapy is given in inoperable & bilateral cases# Chemotherapeutic agents used are Vincristine, Dactinomycin, Doxorubicin & Cyclophosphamide.